Call exner bodies seen in aEUR'
1. Granulosa cell tumour
2. Endodermal sinus cell tumour
3. Ovarian fibroma
4. Teratoma

Correct answer: 1. Granulosa cell tumour

Explanation: Granulosa cell tumors Call-Exner bodies are seen in Granulosa cell tumour. The cell in granulosa cell tumour are arranged either in cords or trabeculae and are often surrounded by structureless hyaline tissue which resembles the glass membrane of the aeic follicle. Call-Exner bodies are seen in some parts of the tumour. - They are composed of small spherical globules around which ganulosa cells are arranged radially. These structes are called Call-Exner bodies. Also know